Recurrent corneal erosion seen in:
1. Corneal dystrophy
2. Keratoglobus
3. Keratoconus
4. Peutz-anaomalies

Correct answer: 1. Corneal dystrophy

Explanation: Ans. Corneal dystrophy